Recurrent fetal loss is associated with
1. SLE
2. Lupus anticoagulant
3. APLA
4. All of the above

Correct answer: 4. All of the above

Explanation: Ans d Ref: Williams Obstetrics Page 225Recurrent spontaneous abortion causes are1. Paternal chromosomal anomalies2. Anatomical factors: uterine anomalies-septate, bicomual, unicomuate uterus, uterus didelphysAsherman's syndromeLeiomyomaCervical incompetence3. Immunological factors-a. Autoimmune- SLE. APLA, Lupus anticoagulant and anticardiolipin antibodyb. Alloimmune factors4. Inherited thrombophilia5. Endocrinological factors:Progestrone (luteal phase) deficiency PCODDiabetes mellitus Hypothyroidism6. Infections